The first rib articulates with the sternum in close proximity to the?
1. Nipple
2. Root of the lung
3. Sternal angle
4. Sternoclavicular joint

Correct answer: 4. Sternoclavicular joint

Explanation: The first rib articulates with the sternum directly below the sternoclavicular joint. The nipple is found in the fourth intercostal space, between the 4th and 5th ribs. The sternal angle is connected to the costal cartilage of rib 2. Finally, the xiphoid process is located just below the point where the costal cartilage of rib 7 articulates with the sternum. The root of the lung, or hilum, is the point where the main bronchus, pulmonary vessels, bronchial vessels, lymphatic vessels, and nerves enter and leave the lung. Ref: Morton D.A., Foreman K.B., Albertine K.H. (2011). Chapter 29. Overview of the Upper Limb. In D.A. Morton, K.B. Foreman, K.H. Albertine (Eds), The Big Picture: Gross Anatomy